True about blood transfusion -a) Antigen `D' determines Rh positivityb) Febrile reaction is due to HLA antibodiesc) Anti-D is naturally occuring antibodyd) Cryoprecipitate contains all coagulation factors
1. ac
2. a
3. ab
4. bc

Correct answer: 3. ab